All of the followingPhysical changes taken place in a RCT treated tooth except:
1. Loss of moisture.
2. Increase fracture susceptibility of tooth.
3. Compressive strength decreases
4. Tooth stiffness reduces

Correct answer: 3. Compressive strength decreases

Explanation: compressive and tensile strength remains the same.